Minimum Alveolar concentration of halothane is
1. 0.74%
2. 1-2%
3. 6%
4. 2%

Correct answer: 1. 0.74%

Explanation: Halothane is a potent anesthetic with a MAC of 0.74%. Its blood/gas partition coefficient of 2.4 makes it an agent with moderate induction and recovery time. It is not a good analgesic and its muscle relaxation effect is moderate.